All are true about Peyronie's disease except
1. Self limiting
2. Medical treatment is effective
3. Association with Dupuytren's contracture
4. Calcified plaques

Correct answer: 2. Medical treatment is effective

Explanation: Peyronie's disease(Induratio penis plastica) is development of hard fibrous tissue plaques on the covering of corpus cavernosum and later involving its full extent resulting in induration of corpus causing the erect penis to bend towards the side of plaque . The plaques may get calcified. May be due to old trauma, oftwn associated with Dupuytren's contracture. Some cases resolve in 3 to 5 yrs. Medical treatment has poor benefit. Surgery is needed in many cases -Fitzpatric operation , Nesbitt's operation, Gelhard's operation, Lockha's operation, Devine and Hoon's. Reference : page 1063 SRB's manual of surgery 5th edition and page 1373 Bailey and Love's short practice of surgery 25th edition